Muscle which has influence in the formation of buccal frenum of maxilla:
1. Levator anguli oris
2. Quadratus labii superioris
3. Triangularis
4. Inferioris

Correct answer: 1. Levator anguli oris

Explanation: Buccal frenum of maxilla contains levator anguli oris (caninus), buccinator and orbicularis oris.
Buccal frenum of mandible contains triangularis or depressor anguli oris.